Which component of the eye has highest refractive index?
1. Anterior surface of the lens
2. Posterior surface of the lens
3. Centre of the lens
4. Cornea

Correct answer: 3. Centre of the lens

Explanation: Centre of the lens Repeat from Nov 08 Refractive index of each component of the eye as optical system Refractive medium Refractive index Air 1.000 Cornea 1.376 Aqueous humour 1.336 Lens (coex-core) 1.386-1.406 Vitreous humour 1.336 "The refractive indices of the successive layers of the lens increase from the periphery towards the nucleus."- Parson 20/e p53, 59 Note that Cornea has the strongest refractive power. The anterior surface of cornea is responsible for about 2/3rds of the eye's refractive power.